Acute opioid withdrawl is characterizedby
1. Rhinorrhoea
2. Piloerection
3. Insomnia
4. All

Correct answer: 4. All

Explanation: A, B, C i.e. Rhinorrhoea, Piloerection, Insomnia